Dapoxetine is specifically developed for?
1. Depression
2. Psychosis
3. Premature ejaculation
4. Anxiety disorder

Correct answer: 3. Premature ejaculation

Explanation: Ans. is 'c' i.e., Premature ejaculation Dapoxetine Dapoxetine is the first compound developed specially for the treatment of premature ejaculation (PE) in men 18-64 years old. Dapoxetine works by inhibiting the serotonin transporter, increasing serotonin's action at the post synaptic cleft, and as a consequence promoting ejaculatory delay. As a member of selective serotonin reuptake inhibitor (SSRI) family, dapoxetine was initially created as an antidepressant. However, unlike other SSRIs, dapoxetine is absorbed and eliminated rapidly in the body. Its fast-acting property makes it suitable for the treatment of PE but not as an antidepressant.